The administration of succinylcholine to a paraplegic patient led to appearance of dysarrythmias, conduction abnormalities and finally cardiac arrest. The most likely cause is:
1. Hypercalcemia
2. Hyperkalemia
3. Anaphylaxis
4. Hypermagnesemia

Correct answer: 2. Hyperkalemia

Explanation: Ans. (B) Hyperkalemia(Ref: Katzung 11th/e p460)Succinylcholine can cause hyperkalemia especially in patients with nerve and muscle disorders. Therefore it is contra-indicated in patients with nerve diseases (like paraplegia, hemiplegia and Guillain barre syndrome) and muscle diseases (muscular dystrophy, myasthenia gravis, crush injury, burns and rhabdomyolysis).